Thoracic duct crosses from right side to left side at which vertebral level
1. T10
2. T5
3. L2
4. L5

Correct answer: 2. T5

Explanation: Thoracic duct crosses from right side to left side at level of T5 vertebrae. BD CHAURASIA'S HUMAN ANATOMY VOLUME 1. 6TH EDITION .PAGE NO 285.FIG NO 20.10